True about Epidural anesthesia – a) Effects start immediatelyb) C/I in coagulopathiesc) Given in subarachnoid spaced) Venous return decreases
1. bd
2. d
3. ab
4. ac

Correct answer: 1. bd

Explanation: Epidural anesthesia is given outside the dura in epidural (extradural) space (not in subarachnoid space).
Onset of effect takes place in 15-30 minutes (not immediately). In contrast, spinal anesthesia has immediate effect (approximately 5 minutes).
Neuraxial block (spinal & epidural) anesthesia is contraindicated in coagulopathy or bleeding diasthesis.
Neuraxial block (spinal & epidural) can cause venous pooling and decreased venous return.